Retentive clasp arms should be placed on each abutment tooth such that
1. The retentive terminals are below the height of contact
2. There is a frictional fit on the surface of the abutment
3. They are in approximately the same degree of undercut
4. The retentive terminals are above the height of contour

Correct answer: 3. They are in approximately the same degree of undercut